In accidental hemorrhage, TOC
1. Induction of labour
2. Rx of hypofibrinogenemia then blood transfusion
3. Simultaneous emptying of uterus and blood transfusion
4. Wait and watch

Correct answer: 3. Simultaneous emptying of uterus and blood transfusion

Explanation: Ans. is c i.e. Simultaneous emptying of uterus and blood transfusion